Characteristic histopathology finding in Whipples disease is ?
1. PAS positive macrophages and rod shaped bacilli in lamina propria
2. Shortened thickened villi with increased crypt depth
3. Blunting and flattening of mucosal surface and absent villi
4. Mononuclear infiltration at base of crypts

Correct answer: 1. PAS positive macrophages and rod shaped bacilli in lamina propria

Explanation: Ans. is 'a' i.e., PAS positive macrophages and rod shaped bacilli in lamina propriaThe hallmark of Whipple's disease is a small intestinal mucosa laden with distended macrophages in the lamina propria- the macrophages contain periodic acid-schiff (PAS) positive granules and rod shaped bacilli by electron microscopy.Three forms of Malabsorption Syndromes are often asked and the basic understanding of these is able to exclude a large number of questions.